Reverse transcriptase is:
1. DNA dependent RNA polymerase
2. RNA dependent DNA polymerase
3. DNA dependent DNA polymerase
4. RNA dependent RNA polymerase

Correct answer: 2. RNA dependent DNA polymerase

Explanation: Ans. B. RNA dependent DNA polymerase(Ref: Harper 31/e page 380)Reverse TranscriptionRNA converted to DNA is Reverse Transcription.The enzyme is called Reverse TranscriptaseThis is otherwise RNA dependent DNA PolymeraseRememberDNA Polymerase is DNA dependent DNA Polymerase Reverse Transcriptase is RNA dependent DNA Polymerase Primase is DNA Dependent RNA Polymerase.